Blood supply of spinal cord is through
1. Anterior spinal artery
2. Vertebral artery
3. Deep cervical artery
4. All of the above

Correct answer: 4. All of the above

Explanation: Ans. is 'd' i.e., All of the aboveThe vertebral arteries are the main source of blood to the ). Thus, the vertebral arteries are very important, as they serve as the primary source of blood to the brain and the spinal cord.Similarly, the radicular arteries take origin from spinal branches of the vertebral arteries and spinal branches of ascending cervical arteries, deep cervical arteries, intercostal arteries, lumbar arteries and sacral arteries.